Drug of choice for neurogenic diabetes insipidus is?
1. Vasopressin
2. Terlipressin
3. Desmopressin
4. Pralipressin

Correct answer: 3. Desmopressin

Explanation: Ans. (c) DesmopressinRef Goodman Gillman 11/e, Chapter 29, Harrison's Internal Medicine 17/e, chapter 334